A 40 year old man consumes alcohol & creates public nuisance. The punishment in this scenario is dealt under which section of IPC?
1. 85 IPC
2. 510 IPC
3. 300 IPC
4. 86 IPC

Correct answer: 2. 510 IPC

Explanation: Sec. 85 IPC: Nothing is an offence which is done by a person who at the time of doing it, by reason of intoxication, is incapable of knowing the nature of the act, or what he is doing is either wrong or contrary to law; provided that thing which intoxicated him was administered to him without his knowledge or against his will.21 Sec. 86 IPC: Voluntary drunkenness is not an excuse for commission of crime. Sec. 510 IPC: Misconduct by a drunken person in public is punishable with imprisonment upto 24 h.